Desk for student is ?
1. Minus desk
2. Plus desk
3. Zero desk
4. All the desks

Correct answer: 1. Minus desk

Explanation: parks textbook pf preventive and social medicine 23rd edition *furniture should suit the age group of students .it is desirable to provide single desks and chairs .desks should be of minus type.chairs should be provide with propeer bach rests,with facilities for desk-work.